23 years female was cheated in name of marriage & a man was in contact with her belongs to:
1. Sec. 492 IPC
2. Sec. 493 IPC
3. Sec. 494 IPC
4. Sec. 495 IPC

Correct answer: 2. Sec. 493 IPC

Explanation: Ans. (B). Sec. 493 IPC493 IPCCohabitation caused by a man deceitfully inducing a belief of lawful marriage494 IPCMarrying again during lifetime of husband or wife495 IPCconcealment of former marriage498 A IPCHusband or relative of husband of a woman subjecting her to cruelty